A 40 year old tobacco chewer was given a routine oral examination; on examination non-scrapable white patch was noticed in his left buccal mucosa.

Provisional diagnosis for the white Lesion will be
1. Lichen planus
2. Erythroplakia
3. Leukoptakia
4. Submucous fibrosis

Correct answer: 3. Leukoptakia